Attention and concentration is mediated by:
1. Hypothalamus
2. Frontal lobe
3. Parietal lobe
4. Basal ganglia

Correct answer: 2. Frontal lobe

Explanation: Ans. b. Frontal lobe